Onion peel appearance in X-ray suggest:
1. Osteogenic sarcoma
2. Ewing sarcoma
3. Osteoclastoma
4. Chondrosarcoma

Correct answer: 2. Ewing sarcoma

Explanation: Ans: b (Ewings sarcoma)Ref: Maheshwari Ortho, 3rd ed, p. 222, T 30.5